Psoriasis is characterised by
1. Darier's sign
2. Auspitz sign
3. Nikolsky's sign
4. Gottoson's sign

Correct answer: 2. Auspitz sign

Explanation: (B) Auspitz sign # Auspitz Sign: Psoriasis (pin point bleeding from a lesion when rubbed with a spatula to remove loose scales which indicated patch thinning of epidermis overlying papillary process of dermis.